ACNA is sensitive and specific for :
1. Post streptococcal glomerulonephritis
2. Idiopathic cresentic glomerulonephritis.
3. Diffuse glomerulosclerosis
4. Henoch's schonlein purpura

Correct answer: 2. Idiopathic cresentic glomerulonephritis.

Explanation: Ans. is 'b' Idiopathic crescentic glomerulonephritis